Torsional force is:
1. Compression
2. Tensile force
3. Shear
4. Transverse bending force

Correct answer: 3. Shear